Acetazolamide can be used in all except
1. Epilepsy
2. Cute mountain sickness
3. Cirrhosis
4. Glaucoma

Correct answer: 3. Cirrhosis

Explanation: Acetazolamide is a carbonic anhydrase inhibitor USES: 1. Glaucoma: as an adjuvant to other ocular hypotensives 2. Epilepsy: increases co2 levels- inhibits seizures to some extent- used only for catamenial epilepsy- epilepsy during menses 3. Acute mountain sickness - by increasing co2 and stimulating the breathing center 4. edema 5. alkalinization of urine ( Essentials of Medical Pharmacology, K.D Tripathi,6th edition, page 569 )